The characteristic field defect seen in pituitary tumors is
1. Homonymous hemianopia
2. Complete vision loss
3. Binasal hemianopia
4. Bitemporal hemianopia

Correct answer: 4. Bitemporal hemianopia

Explanation: Ans. (d) Bitemporal hemianopiaRef: Harrison's 19th ed. /198-199"Bitemporal hemianopia is usually caused by tumors in the region of the sells turcica, pressure by a suprasellar aneurysm or by chronic arachnoiditis; these press upon the chiasma so that the fibers going to thenasal halves of each retina are destroyed. Tumors of the pituitary body are most common.